A 54-year-old woman who has been diagnosed with early-stage breast cancer undergoes surgery for a lumpectomy to remove a small tumor detected by mammography. the pathology report confirms early stage of the cancer and further comments on the fact that there is significant desmoplasia in the surrounding tissue. The term desmoplasia refers to
1. an irregular accumulation of blood vessels.
2. Scanty connective tissue causing the neoplasm to be soft and fleshy.
3. normal tissue misplaced within another organ
4. proliferation of non-neoplastic fibrous connective tissue

Correct answer: 4. proliferation of non-neoplastic fibrous connective tissue

Explanation: Desmoplasia:- refers to proliferation of non-neoplastic fibrous connective tissue within a tumor . Parenchymal cells stimulate the formation of abundant collagenous storms, referred to as desmoplasia. It is quite common in cases of breast cancer, which become Stony hard or scirrhous. An irregular accumulation of blood vessels is known as a hemangioma. An area of tissue misplaced within another organ is known as a choristoma